HACEK group of organisms includes all of the following, EXCEPT:
1. Haemophilus aphrophilus
2. Acinetobacter baumannii
3. Cardiobacterium hominis
4. Eikenella corrodens

Correct answer: 2. Acinetobacter baumannii

Explanation: HACEK group of organisms includes Haemophilus aphrophilus, Actinobacillus actinomycetemcomitans, Cardiobacterium hominis, Eikenella, and Kingella. HACEK group of organisms are fastidious, slow growing gram negative rods that form part of body's normal mouth and gut flora. They virtually never cause bacteremia except in patients with endocarditis. Although they are fastidious and slow growing, they can be detected in blood cultures within 5 days. Native valve endocarditis caused by them have been associated with large vegetation and a high frequency of systemic emboli. All of these organisms share common antibiotic sensitivities. Ref: Infectious Disease: Pathogenesis, Prevention and Case Studies By Nandini Shetty, page 243.